Arrange the steps in apoptosis in sequence of occurrence: 1. Release of cyt c in cytoplasm2. Activation of APAF-13. Removal of BCL-2 4. Caspase activation
1. 3-1-2-4
2. 4-2-1-3
3. 1-2-4-3
4. 3-2-4-1

Correct answer: 1. 3-1-2-4

Explanation: Intrinsic Pathway of Apoptosis:- Apoptosis causes fragmentation of DNA, which gives Step-Ladder pattern on DNA gel electrophoresis.